Retinitis Pigmentosa is associated with all except –
1. Usher Syndrome
2. Marfan's Syndrome
3. Kearns – Sayre Syndrome
4. Bassen – Kornzweig Syndrome

Correct answer: 2. Marfan's Syndrome

Explanation: Systemic syndrome associated with Retinitis Pigmentosa are Usher's syndrome, Hallgren's syndrome, Cockayne's syndrome, Refsum's syndrome, Laurence- Moon- Biedl syndrome, Bussen - Kornzweig (Abetalipoproteinemia) syndrome, Kearns - sayer syndrome, Friedreish's ataxia, Bardet - Biedle syndrome, NARP (Neuropathy, ataxia, retinitis pigmentosa), developmental delay, intellectual disability, lactic acidemia), Neuronal ceroid lipofitscinosis, olivopontocerebellar degeneration.